All are true about origin and propagation of contractions except
1. The right pacemaker predominates over left
2. Intensity of propagation is greatest at cervix
3. The contractiom spreads from pacemaker towards cervix
4. Speed of contraction is 2 cm/sec

Correct answer: 2. Intensity of propagation is greatest at cervix

Explanation: Intensity is greatest at fundus of uterus